In healthy individuals, the pulmonary and systemic circulations have the same:
1. Mean pressure
2. Vascular resistance
3. Compliance
4. Flow per minute

Correct answer: 4. Flow per minute

Explanation: Ans. D. Flow per minuteThe pulmonary and the systemic circulations both receive all of the cardiac output and have the same flow. Pressure, resistance, and compliance are different.